Cochlear aqueduct connects?
1. Middle ear to subarachnoid space
2. Inner ear to middle ear
3. Inner ear to subarachnoid space
4. Inner ear to nasal cavity

Correct answer: 3. Inner ear to subarachnoid space

Explanation: Ans. (c) Inner ear to subarachnoid space